Which of the following intravenous anaesthetic agent interact with Tricyclic antidepressant.
1. Ketamine
2. Thiopentone
3. Propofol
4. Etomidate

Correct answer: 1. Ketamine

Explanation: ketamine can interact with the tricyclic antidepressant and can cause arrythmia thus if a patient is on tricyclic antidepressant we have to stop it 3 weeks prior to surgery.